'D' cells of the pancreas secrete:
1. Insulin
2. Glucagon
3. Intestinal peptide
4. Somatostatin

Correct answer: 4. Somatostatin

Explanation: D i.e. Somatostatin